Swift disease occurs due to:
1. Mercury.
2. Lead.
3. Bismuth.
4. Arsenic.

Correct answer: 1. Mercury.